Order of development of secondary sexual characteristic in male -
1. Testicular development--pubic hair--axillary hair--beard
2. Pubic hair--testicular development--axillary hair -- beard
3. Testicular development --beard--pubic hair-axillary hair
4. Axillary hair--beard --pubic hair--testicular development

Correct answer: 1. Testicular development--pubic hair--axillary hair--beard

Explanation: Ans. is 'a' i.e., Testicular development -- pubic hair -- axillary hair -- beard In boys, the first visible sign of puberty and the hallmark of SMR 2 is testicular enlargement. o The sequence of development of secondary sexual characteristic in boys is ? Testicular enlargement --> Penis enlargement --> Pubic hair growth Peak growth velocity --> Axillary hair -4 facial hair.